Epidemiological Web of Causation theory was given by
1. Louis Pasteur
2. Robert Koch
3. McMahon and Pugh
4. None

Correct answer: 3. McMahon and Pugh

Explanation: The 'web of causation' considers all the predisposing factors of any type and their complex interrelationship with each other. Ref: 25th edition, Park's Textbook of Preventive and Social Medicine, Page no. 41